Young woman LMP was 2 weeks back complains of pain in lower abdomen with no H/O fever and absence of leukocytosis. Diagnosis is -
1. Ectopic pregnancy
2. Mittleschmerz
3. Acute intermittent obstruction
4. Dysuria

Correct answer: 2. Mittleschmerz

Explanation: Ans. is 'b' i.e., Mittelschmerz o Young female having mid cycle lower abdominal pain without fever and leukocytosis directs to the diagnosis of mittleschmerz.# Mittelschmerz is a mid-cycle pain, not lasting more than 12-24 hours, around ovulation. Pain is located in one of the iliac fossa and may be accompanied with vaginal bleeding.